The presence of large quantities of un-reabsorbed solutes in the renal tubule causes an increase in urine volume is called:
1. Osmotic diuresis
2. Osmotic natriuresis
3. Water intoxication
4. Water dieresis

Correct answer: 1. Osmotic diuresis

Explanation: Osmotic diuresis